National Rural Health Mission was launched in the year
1. 2005
2. 2003
3. 2007
4. 2010

Correct answer: 1. 2005

Explanation: The government of India launched National Rural Health Mission in 2005,5th April for a period of 7 years later extended upto 2017. Mission seeks to improve rural health care delivery system. Ref: Park's textbook of preventive and social medicine.K Park. Edition 23.Pg no: 448